A screening test must satisfy all of the following given criteria except:-
1. Acceptability
2. Repeatability
3. Validity
4. Accountability

Correct answer: 4. Accountability

Explanation: Screening test must satisfy the following criteria * Acceptability Repeatability Validity Acceptability: Screening Test should be acceptable to the People at whom it is aimed. In general, tests that are Painful,discomforting or Embarassing like Rectal and vaginal examination are not likely acceptable in mass campaigns. Repeatability:An Ideal screening test should have Property of Repeatability. i.e. Test must give consistent results when repeated more than once on the same Individual under same conditions. Validity: also known as Accuracy. Refers to what extent the test accurately measures which it purports to measure.